Which of the following inhibits aldosterone synthesis in the adrenal cortex?
1. Adrenocorticotropin (ACTH)
2. Atrial natriuretic peptide (ANP)
3. Angiotensin I
4. Angiotensin II

Correct answer: 2. Atrial natriuretic peptide (ANP)

Explanation: Atrial natriuretic peptide (ANP) inhibits the synthesis of aldosterone in the adrenal cortex. ANP is secreted by atrial cardiocytes and it stimulates the excretion of Na+, accompanied by an increase in water excretion. The inhibitory effect on aldosterone synthesis is partially responsible for the physiological effects of ANP, however other mechanisms (e.g. increase in glomerular filtration rate) are also important in the natriuretic action of ANP. Adrenocorticotropin (ACTH), angiotensin II, and the increase of plasma K+ level are the major physiological stimuli of aldosterone biosynthesis. Angiotensin I, the prohormone form of angiotensin II does not influence directly the aldosterone synthesis in the adrenal cortex. Ref: Molina P.E. (2013). Chapter 10. Endocrine Integration of Energy and Electrolyte Balance. In P.E. Molina (Ed), Endocrine Physiology, 4e.